Which of the following is not seen in unilateral injury to hypoglossal nerve?
1. Hemiatrophy of involved side
2. Deviation of tongue towards the same side
3. Loss of taste sensation of the affected side of tongue
4. Fasciulation of the tongue

Correct answer: 3. Loss of taste sensation of the affected side of tongue

Explanation: Ans. c. Loss of taste sensation of the affected side of tongue (Ref: Gray's anatomy 39/e 588: BDC 4/vol-III/252-253)Taste sensation in tongue is not supplied by the hypoglossal nerve. So, loss of taste sensation of the affected side of tongue is not seen in hypoglossal nerve injury.Clinical Signs and Symptoms of Hypoglossal Nerve Palsy:Deviation of the tongueMuscle wasting or atrophyMuscle fasciculationsTongueDevelopment of TongueEpitheliumMuscles* Anterior 2/3 from lingual swelling of 1st arch and tuberculum imparQ* Posterior 1/3 from large dorsal part of hypobranchial eminenceQ i.e. 3rd arch* Posterior most part from small dorsal part hypobranchial eminence i.e. 4th arch* Palatoglossal from 6th archQ* Rest by occipital myotomesQ Nerve supply of TonguePart of TongueTasteGeneralAnterior 2/3rd (except vallate papilla)QChorda tympaniQ (branch of facial nerve)Lingual nerveQ (branch of trigeminal)Posterior 1/3rd (including vallate papilla)QGlossopharyngeal nerveQGlossopharyngeal nerveQPosterior most or valleculaQInternal laryngeal branch of vagusQInternal laryngeal branch of vagusQLymphatic Drainage of TongueTip of tongue by submentalQ lymph nodeAnterior two third by submandibularQ lymph nodePosterior 1 /3rd by jugulo-omohyoidQ lymph nodeRememberAll extrinsic and intrinsic muscles of tongue are supplied by hypoglossal (12th)Q nerve except Palatoglossal which is supplied by cranial accessory nerveQ through pharyngeal plexus.Genioglossus is the safety muscle of the tongueQ. Its function can be used to test hypoglossal nerve.